Prophylactic antibiotic in surgical practice:
1. is given orally
2. depends on individual preference
3. continued for a minimum of 7 days
4. first dose is given before induction of anesthesia

Correct answer: 4. first dose is given before induction of anesthesia